Which of the following blood vessel is related to the paraduodenal fossa?
1. Portal vein
2. Gonadal vein
3. Inferior mesentric vein
4. Superior mesentric artery

Correct answer: 3. Inferior mesentric vein

Explanation: Paraduodenal fossa is also termed as fossa of Landzer. This fossa is seen only 2% cases, it is situated at some distance to the left of the ascending colon or fourth portion of the duodenum and is caused by the raising up of a peritoneal fold by the inferior mesenteric vein as it runs along the lateral side of the fossa and then above it. Thus, the blood vessel related to this fossa is inferior mesenteric vein.Ref: Dynamic Radiology of the Abdomen: Normal and Pathologic Anatomy By Morton A. Meyers, 5th Edition, Pages 712-3